Citron bodies are seen in
1. Clostridium perfringens
2. Clostridium difficile
3. Clostridium septicum
4. Clostridium tertium

Correct answer: 3. Clostridium septicum

Explanation: Citron bodies - Boat or leaf shaped bodies seen in clostridium septicum.